Insulin acts on which enzyme is glycolysis :
1. Glucokinase
2. Hexokinase
3. Glucose-6-phosphatase
4. All of the above

Correct answer: 1. Glucokinase